A young girl presents with repeated episodes of throbbing occipital headache associated with ataxia and vertigo. The family history is positive for similar headaches in her mother. Most likely diagnosis is -
1. Vestibular Neuronitis
2. Basilar migraine
3. Cluster headache
4. Tension headache

Correct answer: 2. Basilar migraine